Acquired diverticula are most commonly is seen in:
1. Jejunum/ileum
2. Transverse colon
3. Sigmoid colon
4. Ascending colon

Correct answer: 3. Sigmoid colon

Explanation: A diverticulum is an abnormal sac or pouch protruding from the wall of a hollow organ MC siteQ of Colonic diverticula : Sigmoid colon True diverticulum is composed of all layers of the intestinal wallQ False diverticulum (pseudodiverticulum) lacks a portion (Muscularis propria ) of the normal bowel wallQ. Acquired diverticula are the MC typeQ and are mainly falseQ diverticula